Gluten free diet is used in -
1. Celiac disease
2. Tropical sprue
3. Ulcerative colitis
4. Irritable bowel syndrome

Correct answer: 1. Celiac disease